A non-caseating granuloma is seen in?
1. Tropical sprue
2. Celiac sprue
3. Ulcerative colitis
4. Crohn's disease

Correct answer: 4. Crohn's disease

Explanation: granuloma- distinctive type of chronic inflammation characterized by microscopic aggregation of activated macrophages (epithelioid cells) with scattered lymphocytes sometimes granulomas are associated with central necrosis caseating granuloma tuberculosis histoplasmosis non-caseating granulomas have no necrotic center Crohns disease sarcoidosis foreign body reactions leprosy ref Robbins 9/e p 98